Female died after an illegal abortion. The section of IPC under which the doctor could be prosecuted:-
1. IPC 312
2. IPC 314
3. IPC 315
4. IPC 318

Correct answer: 2. IPC 314

Explanation: According to 314 IPC , doctor could be prosecuted if the female died after an illegal abortion. 312 IPC states that doctor could be prosecuted for criminal abortion even if the consent is taken 315 IPC states that a person doing an act intended to prevent the child being born alive or to cause it to die after birth. 318 IPC states concealment of birth by secret disposal of dead body.